Patient with hemophilia A have bleeding disorder because of
1. Lack of platelet count
2. Lack of platelet adhesion
3. Lack of factor VIII a during activation of factor X in coagulation coscade
4. Release of thromboxane A2

Correct answer: 3. Lack of factor VIII a during activation of factor X in coagulation coscade

Explanation: Hemophilia A
X - linked disorder

90% cases - deficiency of factor 8
10% cases functional defect of factor 8

Factor VIII a complex is the most important activator of factor X required for conversion of prothrombin to thrombin.